Gradenigo's syndrome involves the following cranial nerves:
1. IV, VII
2. V, VI
3. VI, DC
4. VII, VIII

Correct answer: 2. V, VI

Explanation: Gradenigo's syndrome, which is characterised by the triad of suppurative otitis media, pain in the distribution of the trigeminal nerve, and abducens nerve palsy may give rise to potentially fatal complications